Which of the following sugar is called as Arch Criminal:
1. Fructose.
2. Sucrose.
3. Glucose.
4. Maltose.

Correct answer: 2. Sucrose.

Explanation: Sucrose is called as arch criminal because it is most cariogenic.